Commotio retinae affects which part of retina -
1. Posterior pole
2. Peripheral retina
3. Inferior-nasal part
4. Superior-nasal part

Correct answer: 1. Posterior pole

Explanation: Commotio retinae (Berlin's oedema): It is of common occurrence following a blow on the eye. It manifests as milky white cloudiness involving a considerable area of the posterior pole with a 'cherry-red spot' in the foveal region. It may disappear after some days or may be followed by pigmentary changes. Ref: AK Khurana 4thE pg 406